Electron microscopy is used for the following except-
1. To differentiate T & B lymphocytes
2. IgG deposits in kidney
3. TPI
4. Flagella

Correct answer: 3. TPI

Explanation: The scanning Electron microscopy is a recent development which provides a higher resolution and 3 dimensional image of the object . Although the substantial increses in resolution power of Electron microscopy has led to significant discoveries a major disadvantage is the inability to examine living cells A method involves rapid cooling of specimens by deep freezing in liquid gas and the subsequent formation of carbon platinum replicas of the material . Since such frozen cells may remains viable it enables the study of cellular ultra structures as it appears in the living state . Electron microscopy is especially used for rapid detection of viruses in clinical samples . it is particularly useful for detecting non cultivable viruses . ultrastrucural study of various micro organisms may also be done by this method Ref:textbook of Microbiology Dr.C.P.Baveja 4th Edition pg no: 11